Lymphatic drainage of cervix -
1. Preaortic
2. Paraaortic
3. External iliac
4. Inguinal

Correct answer: 3. External iliac

Explanation: Ans. is 'c' i.e., External iliac o The lymphatics from the cervix drain into the external iliac, interna) iliac and sacral nodes.o Cervix (lower lymphatics) Lymphatics drain into external iliac, internal iliac, and sacral nodes,o Lower part of body (middle lymphatics) :- Lymphatics drain into the external iliac nodes.o Fundus and upper part of body (upper lymphatics) Lymphatics drain mainly into para-aortic nodes and a few lymphatics from the uterine cornu accompany the round ligaments to reach the superficial inguinal nodes.